Which of the following can participate in gluconeeogenesis
1. Acetyl CoA
2. Propionyl CoA
3. Muscle glycogen
4. All of the above

Correct answer: 2. Propionyl CoA

Explanation: Propionyl CoA
↓
Succinyl CoA
↓
Succinate
↓
Fumarate
↓
Malate
↓
Oxaloacetate ⇒ GLUCONEOGENESIS
Note: Acetyl CoA which is released from even chain fatty acids can't participate in gluconeogenesis Muscles lack glucose-6-phosphatase and hence can't.